Transitional cell carcinomas can be caused by -a)  Napthylamineb)  Smokingc)  Bilharziasisd)  Betel nut
1. abc
2. bc
3. acd
4. bcd

Correct answer: 1. abc